Highest concentration of potassium is in?
1. Bile
2. Pancreatic juice
3. Terminal ileal secretions
4. Rectal fluid

Correct answer: 4. Rectal fluid

Explanation: Colon and rectal secretion contain highest concentration of K+.